Which anesthetic has a maximum MAC?
1. Nitrous oxide
2. Halothane
3. Desflurane
4. Isoflurane

Correct answer: 1. Nitrous oxide

Explanation: MAC (age 30-55 years) % of 1 atmosphere Halothane 0.76 Isoflurane 1.15 Enflurane 1.63 Sevoflurane 1.85 Desflurane 6.0 Nitrous oxide 104 Basics of Anaesthesia 7e pg: 94